Hyperaldosteronism is characterized by the following except -
1. Hypernatremia
2. Metabolic acidosis
3. Hypokalemia
4. Low plasma rennin levels

Correct answer: 2. Metabolic acidosis

Explanation: Hyperaldosteronism is defined as a selective increase of mineralocorticoids caused by a disorder of the zona glomerulosa of the adrenal gland, resulting in hypertension, hypokalemia, and metabolic alkalosis. This may be accompanied by muscle weakness and fatigue related to the hypokalemia ( Harrison 17 pg 2260)